Submucosal neuroma is associated with
1. MEN 1
2. MEN 2 A
3. MEN 2B
4. None of the above

Correct answer: 3. MEN 2B

Explanation: Refer Robbins page no 1137